Vitamin E is responsible for all the following Except
1. It prevents lipid peroxidation in biological membrances
2. It prevents RBC from hemolysis
3. It is considered to be anti-sterility vitamin
4. It favours the oxidation of low-density lipoproteins

Correct answer: 4. It favours the oxidation of low-density lipoproteins

Explanation: The main function of vitamin E is as a chain-breaking, free-radical-trapping antioxidant in cell membranes and plasma lipoproteins by reacting with the lipid peroxide radicals formed by peroxidation of polyunsaturated fatty acids.In experimental animals, vitamin E deficiency results in resorption of fetuses and testicular atrophy. The erythrocyte membranes are abnormally fragile as a result of lipid peroxidation, leading to hemolytic anaemia.Harper 30th edition Pg 553